Nicotinamide is derived from
1. Histidine
2. Methionine
3. Tryptophan
4. Phenylalanine

Correct answer: 3. Tryptophan

Explanation: The enzyme QP Is the rate limiting step in the formation of nicotinamide from Tryptophan.Ref: DM Vasudevan - Textbook of Biochemistry, 7th edition, page no: 240